Lymphovenous anastomosis is done for -
1. Filarial lymphoedema
2. Lymphoid cyst
3. Cystic hygroma
4. Malignant lymphoedema

Correct answer: 1. Filarial lymphoedema